Glomus tumor invading the vertical part of carotid canal. It is
1. Type B
2. Type CI
3. Type C2
4. Type C3

Correct answer: 3. Type C2

Explanation: Ans. is 'c' i.e., Type C2 Fisch classification The Fisch classification of glomus tumors is based on extension of the tumor to surrounding anatomic structures and is closely related to mortality and morbidity. Type A :- Limited to middle ear cleft (glomus tympanicum). Type B :- Limited to tympanomastoid area with no involvement of infralabyrinthine compartment. Type C :- Involving infralabrinthine compartment extending upto petrous apex Type C1 :- Limited involvement of vertical portion of carotid canal Type C2 :-Invading vertical portion of carotid canal Type C3 :-Invasion of horizontal portion of carotid canal Type D Intracranial extension Type D1 Intracranial extension < 2 cm in diameter Type D2 :-Intracranial extension > 2 cm in diameter